Florence test is used for -
1. Blood
2. Semen
3. Urine
4. Albumin

Correct answer: 2. Semen